Ligature mark is horizontal in -
1. Hanging
2. Strangulation
3. Both of the above
4. None of the above

Correct answer: 2. Strangulation

Explanation: Ans. is 'b' i.e., Strangulation [Ref: Reddy 30th/e p. Hanging Strangulation General characteristics There is suspension of body. Compression on neck is by a ligature. Force of compression is the weight of body (endogenous force). No suspension. Compression on neck is by a ligature, hands, sticks, elbow, knee or foot. It is outside force applied (exogenous force). Local external P.M. findings Ligature mark is above the thyroid is oblique, symmetrical and incomplete. Knot usually present. Usually no mark at site of knot: * In fixed knot, mark is inverted 'V' shaped. * In running noose, mark is transverse. Mark usually single. Surface of mark abraded or contused. Surface may show pattern of ligature used. Surface hard. Mark-yellowish brown in colour. Margins of mark show petechial haemorrhages. Surrounding skin shows few petechial haemorrhages. Depth of mark is less. Mark is on or below the thyroid. Is horizontal, complete and continuous (in absence of ligature mark there are other injuries on neck depending upon type of strangulation). Usually absent. Mark is horizontal, complete and continuous. Usually multiple marks. Usually lacerated. Pattern not seen. Soft, due to frank bleeding. Black. Frank bleeding present. Multiple haemorrhages present. More, like a groove. Local internal P.M. findings Under the mark area is seen as dry, white, glistening pad of fat. Muscles may be lacerated. Usually no laceration of blood vessels and their walls, (lacerated injudicial hanging). May be fracture of trachea, thyroid and larynx. Cervical vertebrae fractured usually at C2-C3 and rarely C3-C4 or C1-C2, injudicial hanging. Fracture of hyoid bone in uncommon. 21. Injury to spinal cord, pons and medulla common injudicial hanging. Area is haemmorrhagic Lacerated. Lacerated. Usually fractured. Fracture cervical vertebrae uncommon. Fracture of hyoid bone, of adduction type (inward compression fracture), very common in throtting. 21. No injury to spinal cord, pons and medulla. Signs of struggle and violence 22. Signs of struggle and violence absent. 23. No question of sexual assault on female victim, as this is usually suicidal and it is uncommon in females. 24. Since hanging is usually suicidal no question of hiding the cause of death. 22. Due to struggle, abrasions and contusions present on the body. 23. May be sexual assault on female victim. 24. Since strangulation is usually homicidal there is attempt at hiding the crime. Dead body may be hanged; thrown in water, jungle, or acid; may be burnt. General external P.M. findings 25. Features of asphyxia mild. 26. Head tilted to side, opposite to knot. 27. Neck stretched. 28. Face usually pale. 29. Mild cyanosis on nose, lips, tongue, ears and nails 30. Few petechial haemorrhages in eyes and on face. 31. Tongue usually inside. 32. Bloody froth at nose and mouth is sometimes present. 33. Usually there is dribbling of saliva from angle of mouth. 25. Greatly marked. 26. No such tilting. 27. No stretching. 28. Deeply congested and deeply cyanosed. 29. Severe cyanosis. 30. Multiple petechial haemmorrhages and eye protruded out 31. Tongue-protruded, bitten and black. 32. Usually present. 33. Usually absent.